Mode of transmission of Listeria
1. Ingestion
2. Inhalation
3. Skin inoculation
4. None

Correct answer: 1. Ingestion

Explanation: Ans. is 'a' i.e., Ingestion LISTEROSIS Mode of transmission; Food borne - Most common (most cases are due to serotype 4b) Nosocomial - In late onset neonatal infection. Foods implicated in infection include contaminated colesaw, pasteurized milk, soft cheese, pate, ready to eat turkey and pork productes, hot dogs, butter, prepared salads, undercooked chicken. Listerosis in human may present in several form :